Reversed splitting of second heart sound is seen in all of the following except
1. Aortic stenosis
2. Left bundle branch block
3. Atrial septal defect
4. Systemic hypertension

Correct answer: 3. Atrial septal defect

Explanation: Causes of Fixed (wide) splitASD (Most characteristic cause for wide fixed splitting)Pulmonic StenosisAcute Right Heart Failure (Pulmonary Embolism)Refer: Harrison's Principles of Internal Medicine, 18th edition, pg no: 1921-1923